A 59-year-old man is diagnosed with prostate cancer following a digital rectal examination. For the resection of prostate cancer, it is important to know that the prostatic ducts open into or on which of the following structures:
1. Membranous part of the urethra
2. Seminal colliculus
3. Spongy urethra
4. Prostatic sinus

Correct answer: 4. Prostatic sinus

Explanation: Ducts from the prostate gland open into the Prostatic Sinus, which is a groove on either side of the urethral crest. The prostate gland receives the ejaculatory duct, which opens into the prostatic urethra on the seminal colliculus (a prominent elevation of the urethral crest) just lateral to the prostatic utricle, which is a small blind pouch. The bulbourethral gland lies on the lateral side of the membranous urethra within the deep perineal pouch, but its duct opens into the bulbous portion of the spongy (penile) urethra.